"Hemorrhagic" viral fevers include all the following EXCEPT:
1. Dengue
2. Chickungunya
3. Rocky Mountain Spotted Fever
4. Kyasanur Forest Disease

Correct answer: 3. Rocky Mountain Spotted Fever

Explanation: Rocky Mountain Spotted Fever